Pantothenic acid is associated with following moiety
1. coenzyme A
2. Carboxyl
3. Hydroxyl
4. H+

Correct answer: 1. coenzyme A

Explanation: Pantothenic acid is called vitamin B5 It is ised to synthesis co enzyme A in body Ref:Guyton and Hall textbook of medical physiology 12th edition,page number:20,21,22